E6 gene product of HPV causes malignance transformation by acting on ?
1. p53 gene
2. RAS gene
3. C-myc gene
4. N-myc gene

Correct answer: 1. p53 gene

Explanation: Ans. is 'a' i.e., p-53 gene HPV selectively infects the epithelium of skin and mucous membrane and may immortalize the keratinocytes leading either asymptomatic infection, or warts or neoplasia.Products of E-genes (E6, E7) are related to immortalization or malignant transformation of keratinocytes by interfering with p53 and Rb genes, respectively.